Cork screw appearance on barium swallow is seen in-
1. Achlasia cardia
2. Carcinoma esophagus
3. Hiatus hernia
4. Diffuse esophageal spasm

Correct answer: 4. Diffuse esophageal spasm

Explanation: Ans. is 'd' i.e., Diffuse esophageal spasm * "Cork screw esophagus" on barium study is seen in diffuse esophageal spasm.* In diffuse esophageal spasm, barium swallow shows that normal sequential peristalsis below the aortic arch is replaced by uncoordinated simultaneous contractions that produce the appearance of curling or multiple ripples in the wall, sacculation and pseudodiverticula - the "Corkscrew" esophagus.Note: Though diffuse oesophageal spasm is best seen on barium swallow, it is diagnosed by oesophageal manometry.* That means:-A. Best investigation for visualization of diffuse esophageal spasm - Barium swallows.B. Investigation of choice for diagnosis of diffuse esophageal spasm - Manometry